Drug used in Acute Intermittent Porphyria is
1. Opioids
2. Phenobarbitone
3. Primidone
4. Blood tranfusion

Correct answer: 1. Opioids

Explanation: (A) Opioids# A high-carbohydrate (10% glucose) infusion is recommended, which may aid in recovery.> If drugs have caused the attack, discontinuing the offending substances is essential.> Infection is one of the top causes of attacks and requires vigorous treatment.> Pain is extremely severe and almost always requires the use of opiates to reduce it to tolerable levels.> Pain should be treated early as medically possible due to its severity.> Nausea can be severe; it may respond to phenothiazine drugs but is sometimes intractable.> Hot water baths or showers may lessen nausea temporarily, but can present a risk of burns or falls.